Who discovered Treponema pallidum
1. Schaudinn and Hoffmann
2. Paul Ehrilich
3. Roux and Yersin
4. Yersin and Kitasato

Correct answer: 1. Schaudinn and Hoffmann

Explanation: Schaudinn and Hoffmann discovered Treponema pallidum.